What is the most common ECG finding for pulmonary embolism?
1. Sinus tachycardia
2. S1 Q3 T3
3. T wave inversion
4. Epsilon waves

Correct answer: 1. Sinus tachycardia

Explanation: M/C ECG abnormality in pulmonary embolism- Sinus tachycardia M/C symptom is unexplained breathlessness. Screening test - D-dimer test. Most specific finding is S1Q3T3. The classic findings of right heart strain and acute cor pulmonale are tall, peaked P waves in lead II (P pulmonale); right axis deviation; right bundle-branch block and S1Q3T3 pattern.